All of the following are CNS stimulants except
1. Amphetamines
2. Cocaine
3. Methylphenidate
4. Benzodiazepines

Correct answer: 4. Benzodiazepines

Explanation: CNS stimulants are amphetamine, methylphenidate, atomoxetine, modafinil, cocaine, pemoline and caffeine.